The mesentery of small intestine, along its attachement to the posterior abdominal wall, crosses all of the following structures except
1. Left gonadal vessels
2. Third part of duodenum
3. Aorta
4. Right ureter

Correct answer: 1. Left gonadal vessels

Explanation: The root of mesentry lies on the right side of abdominal cavity and crosses right gonadal vessels (not left) The root of the mesentry lies along a line running diagonally from the duodenojejunal flexure on the left side of the second lumbar veerbral body to the right sacroiliac joint. It crosses over the third (horizontal) part of the duodenum, aorta, inferior venacava, right ureter and right psoas major. It does not cross the left ureter, left gonadal vessels or superior mesenteric artery. Superior mesenteric artery is a constant of the mesentry. Ref: Gray's Anatomy 41st edition Pgno:1168